Most common presentation in anencephaly is :
1. Breech
2. Face
3. Brow
4. Shoulder

Correct answer: 2. Face

Explanation: Face